A new born loses maximum heat from:-
1. Head
2. Abdomen
3. Palms & soles
4. Neck

Correct answer: 1. Head

Explanation: A new born loses maximum heat from:-Head because of greater surface area